Most common tumor producing osteoblastic metastasis-
1. Kidney
2. Lung
3. Prostate
4. Thyroid

Correct answer: 3. Prostate

Explanation: Ans. is 'c' i.e., Prostate Osteolytic bone metastasesOsteoblastic bone metastasisMixed osteolytic-osteoblastico Renal (kidney)o Thyroido Ewing's sarcomao Uterine carcinomao GIT cancers & Hepatomao Wilm's tumorso Myelomao Melonoma & SCCo Malignant pheochromocytomao Prostate (most common)o Medullary carcinoma of thyroido Osteogenic sarcomao Neuroblastomao Medulloblastomao Breasto Lung (Bronchus)o Urinary bladdero Pancreatico Testicularo Cervicalo Ovarian